Sedative with GABA facilitating action but without anticonvulsant and muscle relaxant properties and no effect on sleep ?
1. Diazepam
2. Zolpidem
3. Phenobarbitone
4. Buspirone

Correct answer: 2. Zolpidem

Explanation: Ans. is 'b' i.e., Zolpidem Among the given options, three are sedative-hypnotic with GABA facilitatory action - Diazepam (a benzodiazepine) - But it also has anticonvulsant and muscle relaxant property. it) Phenobarbitone - But it has anticonvulsant property. Zolpidem Has no anticonvulsant and muscle relaxant property and have no effect on sleep architecture. Zolpidem Zolpidem is a non-benzodiazepine hypnotic. Minimal suppressive effect on REM sleep architecture is not disturbed.